Who described conditioned reflex:
1. Pavlov
2. Salk
3. Sherrington
4. Priestly

Correct answer: 1. Pavlov

Explanation: Ans. A. PavlovIVAN PETROVICH PAVLOV was a Russian physiologist. He won the Nobel Prize in medicine in 1904. He is remembered particularly for his work on conditioned response.